Maximum risk of pancreatitis is present with :
1. Didanosine
2. Lamivudine
3. Zidovudine
4. Abacavir

Correct answer: 1. Didanosine